The first costochondral joint is a type of?
1. Fibrous joint
2. Synovial joint
3. Syndesmosis
4. Synchondrosis

Correct answer: 4. Synchondrosis

Explanation: The first to seventh rib are connected to a cartilage around the sternum, this cartilage is the inturn connected to the sternum. The joint between the first rib and cartilage is called a costochondral joint, it is a synchondroses surrounded by periosteum. Chondrosternal joint is a type of synovial joint. Cartilagenous joints are composed of nonvascular connective tissue. These are either slightly mobile or immobile. Symphyses and synchondroses are two types of cartilaginous joints. Synchondrosis is a type of joint in which the bones are united by bands of hyaline cartilage. This type of joint is seen in epiphyseal plate and at the first costochondral junction.